Drug induced lupus can be identified by
1. Anti-histone antibodies
2. Double stranded DNA antibodies
3. Antinuclear antibodies
4. Anti-SM antibodies

Correct answer: 1. Anti-histone antibodies

Explanation: Ref Harrison's internal medicine 20e p2517